Risk factors for Retinal detachment are –a) Diabetic retinopathy b) Myopia c) Hypermetropiad) CRVOe) Retinopathy of prematurity
1. abe
2. bcd
3. cde
4. acd

Correct answer: 1. abe

Explanation: Proliferative diabetic retinopathy and retinopathy of prematurity cause tractional retinal detachment.
Myopia causes rheugmatogenous retinal detachment.